What is the APGAR score for a baby with HR 120/ min, RR-40/min, strong respiratory efforts, peripheral cyanosis, grimace while suctioning and having slightly flexed posture but no active movements of limbs?
1. 6
2. 7
3. 8
4. 9

Correct answer: 2. 7

Explanation: APGAR score for this baby : 7 Appearance-peripheral cyanosis/acrocyanosis :1 Pulse rate 120/min - score 2 Grimaces - 1 Activity - 1 (flexed posture, but no movements) Respiratory effort - 2 (as strong respiratory efforts present)